The minimum distance for two point discrimination on fingertips-
1. 2 mm
2. 5 mm
3. 7 mm
4. 10 mm

Correct answer: 1. 2 mm

Explanation: Ans. is 'a' i.e., 2 mm * The magnitude of two point discrimination thresholds varies from place of place on the body and is smallest where touch receptors are most abundant. Stimulation points on the back must be separated by at least 65 mm before they can be distinguished as separate, whereas on the fingertips two stimuli are recognized if they are separated by as little as 2 mm.